Combination clasp consists of
1. Wrought retentive and reciprocal
2. Cast retentive and reciprocal
3. Wrought retentive and cast reciprocal
4. Cast retentive and wrought reciprocal

Correct answer: 3. Wrought retentive and cast reciprocal

Explanation: Another strategy to reduce the effect of the Class I lever in distal extension situations is to use a flexible component in the "resistance arm, " which is the strategy employed in the combination clasp. The combination clasp consists of a wrought wire retentive clasp arm and a cast reciprocal clasp arm.